Most Severe degree of alkalosis occurs in obstruction of -
1. Cardiac end
2. Pylorus
3. Ileocaecal region
4. Colon

Correct answer: 2. Pylorus

Explanation: • Gastric alkalosis is most marked with vomiting due to pyloric stenosis or obstruction because the vomitus is acidic gastric juice only.
• Vomiting in other conditions may involve a mixture of acid gastric loss and alkaline duodenal contents and the acid-base situation that results is more variable.
• Loss of alkaline small intestinal contents can even result in an acidosis if gastric acid secretion is suppressed.